Pulmonary complications of rheumatoid arthritis include the following except
1. Pulmonary nodules
2. Mesothelioma
3. Fibrosing alveolitis
4. pleural effusion

Correct answer: 2. Mesothelioma

Explanation: Pleural disease is the most common pulmonary manifestation of RA,may produce pleuritic chest pain,and dyspnea,as well as a pleural friction rub and exudative pleural effusion.Interstitial lung disease,like fibrosing alveolitis,can also occur in patients with RA.Pulmonary function testing shows a restrictive pattern with a reduced diffusing capacity for carbon monoxide.Pulmonary nodules may be solitary or multiple.Other less common pulmonary findings include respiratory bronchiolitis and bronchiectasis. Ref:Harrison's medicine-18th edition,page no:2739.